Cremesteric muscle is supplied by -
1. Genital branch of pudendal nerve
2. Genital branch of obturator nerve
3. Genital branch of femoral nerve
4. Genital branch of genitofemoral nerve

Correct answer: 4. Genital branch of genitofemoral nerve

Explanation: Ans. is 'd' i.e., Genital branch of genitofemoral nerveScrotumo The scrotum is a cutaneous bag containing the right and left testes, the epididymis and the lower parts of spermatic cords. The left half of the scrotum hungs a little lower than the right.o The layers of scrotum from outside to inside are :-i) Skinii) Dartos muscle (smooth muscle layer) continous with Colie's fascia of perineum posteriorly and Scarpa's fascia and Camper's fascia anteriorly .iii) The external spermatic fascia, extension from external oblique.iv) The cremastric muscle, continuous with fascia from internal oblique.v) The internal spermatic fascia, continuous with fascia from fascia transversalis.o Anterior one-third of scrotum is supplied by ilionguinal nerve (L1) and genital branch of the genitofemoral nerve (L1). Posterior two-third of scrotum is spplied by posterior scrotal nerves (S3) and perineal branch of posterior cutaneous nerve of thigh (S3). The dartos muscle and cremasteric muscles are supplied by the genital branch of the genitofemoral nerve.